Occlusion to superior mesenteric artery affects jejunum and911 -Baily & Love 25th)
1. Pyloric antrum
2. Fundus of stomach
3. Duodenum distal to the opening of CBD
4. Greater curvature

Correct answer: 3. Duodenum distal to the opening of CBD

Explanation: (Duodenum distal to the opening of CBD) (243-Snell 8th, 911-Baily & Love 25th)SUPERIOR MESENTERIC ARTERY - supplies the distal part of the duodenum, Jejunum, Ileum, cecum, appendix, ascending colon and most of the transverse colonIt arises from the front of the abdominal aorta just below the celiac artery and ends by anastomosing with the ileal branch of its own ileocalic branch***SUPERIOR MESENTERIC SYNDROME or Wilkie's syndrome* Characterised by compression of the third portion of the duodenum by the superior mesenteric artery* More commonly seen in young asthenic individuals with women*** Predisposing factor include - Weight loss**, supine immobilization, scoliosis, placement of body cast (cast syndrome)* Diagnosis - barium upper GT series or Hypotonic Duodenography*** Treatment of choice vascular compression of duodenum is duodeno- Jejunostomy*** Most common cause of Acute mesenteric ischaemia is cardiogenic embolism*** Most common occlusion occurs distal to origin of the superior mesenteric artery**